Lipids are transferred from intestine to liver by:
1. Chylomicrons
2. VLDL
3. HDL
4. LDL

Correct answer: 1. Chylomicrons

Explanation: Ans. a (Chylomicrons). (Ref. Harper, Biochemistry, 25th ed., 271)LipoproteinFunctionsChylomicron- Delivers dietary triglycerides to peripheral tissues and dietary cholesterol to liver.- Secreted by intestinal epithelial cells.- Levels are classically increased in lipoprotein lipase deficiency. Q- Excess causes pancreatitis, lipemia retinalis, and eruptive xanthomas.VLDL- Delivers hepatic triglycerides to peripheral tissues.- Secreted by liver.- Excess causes pancreatitis.LDL- Delivers hepatic cholesterol to peripheral tissues.- Formed by lipoprotein lipase modification of VLDL in the peripheral tissue.- Taken up by target cells via receptor-mediated endocytosis.- Classically increased in familial hypercholesterolemia.- Most atherogenic.HDL- Mediates centripetal transport of cholesterol (reverse cholesterol transport).- Acts as a precursor for apoC and apoE (needed for chylomicron and VLDL metabolism).- Secreted from both liver and intestine.- Decreased levels are strongly associated with IHD.